First instrument inserted into the root canal through the access cavity is
1. Barbed broach
2. H file
3. K file
4. Any of the above

Correct answer: 3. K file